Iron is absorbed in
1. Stomach
2. Duodenum
3. Jejunum and ileum
4. Colon

Correct answer: 2. Duodenum

Explanation: You should know the site of absorption of the following: